FDA indications of inhaled NO is
1. Malignant hypertension
2. Pulmonary hypertension in newborn
3. Cyanotic CHD
4. None of the above

Correct answer: 2. Pulmonary hypertension in newborn

Explanation: "Inhaled nitric oxide has been approved by FDA for use in newborns with persistent pulmonary hypertension and has become the first line therapy for this disease. In this disease state, NO inhalation has been shown to reduce, significantly, the necessity for extracorporeal oxygenation".(Refer: Morgan and Mikhail's Clinical Anaesthesiology, 5th edition, pg no. 257)